In Wegner's glomerulonephritis, the characteristic features seen in
1. Focal necrotizing glomerulonephritis
2. Granulomas in the vessels wall
3. Interstital granulomas
4. Nodular glomerulosclerosis

Correct answer: 1. Focal necrotizing glomerulonephritis

Explanation: Wegener's granulomatosis is a necro-inflammatory lesion having 4 components granulomas of the upper respiratory tract, granulomas of the lungs, systemic vasculitis (page 403) and focal necrotizing glomerulonephritis. Ref: Harsh Mohan textbook of pathology 6th edition page 495.